Common peroneal nerve is related to which of the following structures
1. Shaft of tibia
2. Neck of fibula
3. Lower tibio-fibular joint
4. Shaft of fibula

Correct answer: 2. Neck of fibula

Explanation: B i.e., Neck of fibula Common peroneal nerve winds around neck of fibula to enter peroneus longus muscle. Because of its subcutaneous position it can be easily palpated here & is very prone to injury. So fracture neck of fibula may cause foot drop.